TRUE about Rectal carcinoma: 1. Most common type is adenocarcinoma 2. Surgery is the treatment of choice 3. Surgical treatment indicated inspite of hepatic metastasis 4. APR done in lesion of upper zone
1. 1,2 & 4
2. 1,2 & 3
3. 2,3 & 4
4. All of the above

Correct answer: 2. 1,2 & 3

Explanation: Adenocarcinoma is the commonest type of rectal carcinoma, just like colon carcinoma. Similar to colon carcinoma treatment of rectal carcinoma involves resection of the primary tumor, its lymphatic bed and any other involved organ. Hepatic metastasis can be resected if the remaining liver is adequate for its functioning, even if hepatic Metastasis cannot be resected, surgery is done because it's the best way of palliation. APR is done for lesions in the lower third of rectum. For upper and mid rectum a sphincter saving procedure i.e low anterior resection is done. Ref: Bailey & Love 25/e, Page 1231.